Spinal anesthesia is given at which of the following levels –
1. L1–2
2. L2–4
3. Midline of thorax
4. Below L5 (caudal)

Correct answer: 2. L2–4

Explanation: Spinal anesthesia involves the injection of a local anesthetic into the cerebrospinal fluid found in the subarachnoid space, usually below the level of L2
Spinal cord in adults ends at the level of L2 (lower border of L1) & upto L3 in children. To avoid potential needle trauma to spinal cord, lumbar puncture is usually not performed above L2 in adult and above L3 in children.